Multiple myeloma is a tumor of?
1. B-lymphocyte
2. T-lymphocyte
3. Lymph nodes
4. Plasma cell

Correct answer: 4. Plasma cell

Explanation: Ans. (d) Plasma cell(Ref: Robbins 9th/pg 598-602)Multiple myeloma is a malignant proliferation of plasma cells derived from a single clone.